Tempering temperature for agar is:
1. 100 degrees Celsius
2. 65 degrees Celsius
3. 45 degrees Celsius
4. None of the above

Correct answer: 3. 45 degrees Celsius

Explanation: Making the Agar Impression
This process requires a three-compartment conditioning unit for the agar tray material that allows liquefaction, storage, and tempering, while the agar syringe material is used only in the liquefaction and storage compartments.
The first step in impression making is to liquefy the hydrocolloid gel in the tube in boiling water at 100°C for a minimum of 10 minutes. The tube is then placed in a storage bath at 65°C to retain the sol condition until it is needed. For the immediate preparation step, the impression tray is filled with hydrocolloid sol from the tube taken from the storage bath, a gauze pad is placed over the top of the tray material, and the tray is placed in the water-filled tempering compartment (at about 45°C) of the conditioning unit. The tempering time is 3 to 10 min, just sufficient to ensure that all the material has reached a lower temperature (55°C or less). In any case, the loaded tray should never be left in this bath for more than 10 minutes as partial gelation can occur, thereby making the material unusable.
Reference: PHILLIPS’ SCIENCE OF DENTAL MATERIALS, 12th ed page no 170